Which of the following is not a poxvirus-
1. Cowpox
2. Molluscum contagiosum
3. Smallpox
4. Chicken pox

Correct answer: 4. Chicken pox

Explanation: Poxviruses causing disease in humans





Variola (small pox)
Buffalopox
Cowpox
Vaccinia
Monkeypox
Molluscum contagiosum
Tanapox